Sign of antemortal hanging is?
1. Dribbling of saliva
2. Ligature mark
3. Fracture of hyoid bone
4. Seminal emission

Correct answer: 1. Dribbling of saliva

Explanation: Dribbling of saliva REF: Parikh 6th edition page 3.44 Antemortem hanging Postmortem hanging Motive Usually suicidal (Homicidal only in Lynching) Homicidal Ligature mark Well developed with parchment like base and is yellow or brown Not well developed Saliva Dribbling of saliva present Absent Injuries No other injuries seen Other injuries causing death seen Signs of asphyxia Present Absent Circumstantial evidence Closed room No signs of struggle Signs of struggle present Drag marks on body May be seen Not seen Suicide note May or may not be present Never present Rope fibres May be seen in the hands Not seen